Fluid flow, in or out of the dentinal tubules proportional to the tuble diameter by
1. Third power of the diameter
2. Sixth power of the diameter
3. Square of the diameter
4. Fourth power of the diameter

Correct answer: 4. Fourth power of the diameter